What is the recommended illumination for general office work?
1. 100 lux
2. 400 lux
3. 900 lux
4. 1000 lux

Correct answer: 2. 400 lux

Explanation: The recommended illumination for casual reading is 100 lux, 400 lux for office work, 900 lux for fine assembly and for watch making 2000 - 3000 lux is recommended. Ref: Park's Textbook of Preventive Medicine, 17th Edition, Page 519.